Synthesis of 1 molecule of Glucose from 2 molecules of Lactate require ________ ATP
1. 2
2. 4
3. 6
4. 8

Correct answer: 3. 6

Explanation: Conversion of 2 molecules of Lactate to 1 molecule of Glucose requires 6 ATPs (2 GTP & 4 ATP). Note: GTP and ATP provide same amount of energy on their phosphate group hydrolysis and can be easily interconverted into each other. Hence, GTP is considered same as ATP. Enzyme Reaction Catalyzed Net ATP Consumed Pyruvate Carboxylase Pyruvate to Oxaloacetate 2x1 ATP = 2 ATP Phosphoenol Pyruvate Carboxykinase Oxaloacetate to Phosphoenol Pyruvate 2x1GTP =2GTP Phospho glycerate Kinase 3-Phosphoglycerate to 1,3 BisPhosphoglycerate 2x1 ATP = 2 ATP Total ATP consumed from 2 Pyruvate molecules 4 ATP & 2GTP Total ATP consumed from 2 Alanine molecules 4 ATP & 2GTP Total ATP consumed from 2 Lactate molecules 4 ATP & 2GTP